In the Nodal "N" staging of laryngeal carcinoma, extranodal invasion is indicated by
1. N2C
2. N3A
3. N3B
4. N3C

Correct answer: 3. N3B